Savlon contains:
1. Cetrimide and cetavlon
2. Cetrimide and Chlorhexidiine
3. Cetrimide, Chlorhexidine and butyl alcohol
4. Cetrimide and butyl alcohol

Correct answer: 2. Cetrimide and Chlorhexidiine

Explanation: Cetrimide along with chlorhexidine is most popularly used antiseptic and disinfectant for surgical instruments, utensils, baths, etc- savlon ESSENTIALS of medical PHARMACOLOGY SEVENTH EDITION -KD TRIPATHI Page:900